Carcinoid tumours commonly arise from:
1. G. cells in pancreas
2. Argentaffin cells of small intestine
3. Pancreatic endocrine tumour
4. Colon polyps

Correct answer: 2. Argentaffin cells of small intestine

Explanation: Ans. (b) Argentaffin cells of small intestineCarcinoid tumors arise from argentaffin cells of the crypts of Lieberkuhn and are found from the distal duodenum to the ascending colon, areas embryologically derived from the midgut.